Which antiepileptic drug does not act via inhibition of sodium channels ?
1. Vigabatrin
2. Carbamazepine
3. Lamotrigine
4. Phenytoin

Correct answer: 1. Vigabatrin